The junction of mandibular minor connector with major connector is
1. Butt type joint
2. Acrylic forms the joint
3. Ball and socket joint
4. There is no joint

Correct answer: 1. Butt type joint